Nucleus pulsosus is derived from ?
1. Sclerotome
2. Myotome
3. Notochord
4. None

Correct answer: 3. Notochord

Explanation: Ans. is 'c' i.e., Notochord Development of vertebral columnThe human nervous system develops from neuroectoderm.During development, behind the neuroectoderm lies the mesoderm (paraxial mesoderm) that encloses the notochord (a derivative of endoderm).This paraxial mesoderm give rise to somites.Somites further differentrated intoDermatomyotome :- Give rise to skeletal muscles and dermis.Sclerotomes :- Give rise to vertebral column.Sclerotomes which surround notochord starts projecting posteriorly (dorsally) to surround neural tube and forms.Ventral sclerotomes :- Give rise to vertebral body and annulus fibrosus.Lateral sclerotomes :- Give rise to vertebral arch (pedicle and lamina).Dorsal sclerotomes :- Give rise to spinous process.The notochord forms the nucleus pulsosus.